Desmosomes are helpful in connecting -
1. Keratinocytes
2. Melanocytes
3. Dermis and epidermis
4. Langerhanscells

Correct answer: 1. Keratinocytes

Explanation: Ans. is 'a' i.e., Keratinocytes Desmosomeso Desmosomes are the major adhesion complex in epidermis, anchoring keratin intermediate filaments (IFs) to the cell membrane and bridging adjacent keratinocytes, and allowing cells to withstand trauma.o The main components of desmosomes consist of the products of three gene superfamilies : -Desmosomal cadherins They are calcium ion dependent cell adhesion molecules that show homophillic homophi llic adhesions (i.e. a cadherin molecule of one cell binds to same molecule on another cell.)They includeo Desmogleins l-4(Dsgl-Dsg4)o Desmocollins 1-3 (Dscl-Dsc3)Armadillo proteinso Plakoglobins (Pgs)o Plakophillin (Pkps 1-3)Plakinso Desmoplakins (Dps),o Plectino Envoplakino PeriplakinAntigen defectDiseaseDsg 1Pemphigus foliaceusDsg 3Pemphigus vulgarisDsc lSubcorneal pustular dermatosisDpk 1&2Erythema multiformeEnvoplakin & PeriplakinPerineoplastic pemphigus